Earliest feature in Multiple sclerosis is
1. Optic neuritis
2. Inter nuclear ophthalmologia
3. Ataxia
4. Weakness

Correct answer: 1. Optic neuritis

Explanation: * Initial Symptoms and percent of cases Sensory loss -37% Optic neuritis- 36% Weakness -35% Ataxia-11%. Optic nerve Pain and temporary vision loss in one eye are common symptoms of optic neuritis. Optic neuritis is linked to multiple sclerosis (MS), a disease that causes inflammation and damage to nerves in your brain and spinal cord Ref Davidson edition23rd pg1110